Destruction of fat in acute pancreatitis is due to -
1. Lipase and elastase
2. Lipase and trypsin
3. Secretin
4. Cholecystokinin and trypsin

Correct answer: 2. Lipase and trypsin

Explanation: An enzyme activated by trypsin is phospholipase A2. This enzyme splits a fatty acid off lecithin, forming lysolecithin. Lysolecithin damages cell membrane. It has been hypothesized that in acute pancreatitis phospholipase A2 is activated in the pancreatic ducts, with the formation of lysolecithin from lecithin that is a normal constituent of bile. This cause disruption of pancreatic tissue and necrosis of surrounding fat.